False about Popliteal entrapment syndrome
1. Mainly due to atherosclerosis
2. Exercise induced calf claudication
3. Decreased ankle pulse on ankle flexion
4. Abnormal relation between medial head of gastrocnemius and popliteal artery

Correct answer: 1. Mainly due to atherosclerosis

Explanation: Popliteal entrapment syndrome

Due to congenital adnormality between popliteal artery and medial head gastrocnemius.
Treated with release of muscular origin of medial head of gastrocnemius.